A young patient presents to the ophthalmology clinic with loss of central vision.There is no obvious family history. ERG and EOG were observed to be normal which of the following is the most likely diagnosis:
1. Stargardt's disease
2. Best's vitelliform dystrophy
3. Retinitis pigmentosa
4. Cone-rod dystrophy

Correct answer: 1. Stargardt's disease

Explanation: Ans. Stargardt's disease